A 13 year old female patient presents to the dental clinic and requests to get braces. On intra-oral examination Class I molar and incisor relationship is seen along with mild lower anterior crowding. Further along the conversation, she reveals how she feels left out as the rest of her classmates have braces while she does not. Patient appears to be very conscious of her appearance and has an inferiority complex. This phenomenon is described by Elkind as:
1. Cognitive equilibrium
2. Constructivism
3. Imaginary audience
4. Centering

Correct answer: 3. Imaginary audience

Explanation: A new expression of egocentrism, presume that they and others are thinking about the same thing. Because young adolescents are experiencing tremendous biologic changes in growth and sexual development, they are preoccupied with these events. Arhen an adolescent considers what others are thinking about, he assumes that others are thinking about the same thing he is thinking about, namely, himself. Adolescents assume that others are as concerned with their bodies, actions, and feelings as they themselves are. They feel as though they are constantly "on stage," being observed and criticized by those around them. This phenomenon has been called the "imaginary audience" by Elkind.' The imaginary audience is a powerful influence on young adolescents, making them quite self-conscious and particularly susceptible to peer influence. They are very worried about what peers will think about their appearance and actions, not realizing that others are too busy with themselves to be paying attention to much other than themselves.